All sensations carried through lateral spinothalamic tract except
1. Pain
2. Cold
3. Hot
4. Vibration

Correct answer: 4. Vibration

Explanation: (D) Vibration